Coloured halo is seen in all except:
1. Open angle glaucoma
2. Closed angle glaucoma
3. Cataract
4. Any of the above

Correct answer: 1. Open angle glaucoma

Explanation: A i.e. Open angle glaucoma